Which drug is not used in Alzheimer's disease
1. Tacrine
2. Gallantamine
3. Donepezil
4. Rivastigmine

Correct answer: 1. Tacrine

Explanation: Refer kDT 6/e p 102,472,473 Because of hepatotoxicity, and requirement of frequent dosing, Tekken is less often used than other agents